Which of the coagulation factor is least affected in a patient with vitamin K deficiency?
1. Factor 10
2. Factor 9
3. Factor 8
4. Factor2

Correct answer: 3. Factor 8

Explanation: Factor VIII Patient with vitamin K deficiency will have mostly involvement of dependent clotting factors. I.e. Factors II, VII, IX & X